Stages of anesthesia were established by
1. Ether
2. N20
3. Halothane
4. Chloroform

Correct answer: 1. Ether

Explanation: A i.e. Ether